Triad of glomerulonephritis, pulmonary hemorrhages,and antibody to basement membrane is called?
1. Goodpasture syndrome
2. Systemic Necrotising Vasculitis
3. Mixed connective tissue disease
4. Diabetic nephropathy

Correct answer: 1. Goodpasture syndrome

Explanation: * Goodpasture syndrome- autoimmune disease in which antibodies attack the lungs and kidneys, leading to bleeding from the lungs and to kidney failure. * It may quickly result in permanent lung and kidney damage, often leading to death. * It is treated with immunosuppressant drugs such as corticosteroids and cyclophosphamide, and with plasmapheresis, in which the antibodies are removed from the blood.